The abnormal preoperative pulmonary function test in a patient with severe kyphoscoliosis includes:
1. Reduced RV and TLC
2. Reduced FEV1/FVC.
3. Reduced FEV25-75
4. Increased FRC

Correct answer: 1. Reduced RV and TLC

Explanation: Answer is A (Reduced RV and TLC): Kyphoscoliosis is a restrictive lung disease. There is decrease in residual volume and total lung capacity. FEV1 and FVC are proportionately decreased. Hence the ratio of FEV1 to FVC remains normal or is increased. The forced expiratory flow rate (FEF) is normal. Functional residual capacity (FRC) is decreased.